Which is not true about Yaws?
1. Spread by sexual transmission
2. Caused by T. pertenue
3. Has cross immunity with syphilis
4. Cannot be differentiated serologically from T. pallidum

Correct answer: 1. Spread by sexual transmission

Explanation: Ans. (a) Spread by sexual transmission Yaws is caused by T. pallidum subspecies pertenue. T. pertenue is antigenically identical to T. Pallidum. Mode of transmission : Infection is transmitted by direct contact with infectious lesions, often during play or group sleeping. Fly acts as mechanical vector. Clinical features After 3-4 weeks the initial lesion begins as a papule usually on extremity which enlarges and breaks down to form an ulcerating granuloma (mother yaw). It is followed by appearance of multiple skin lesion. As in syphilis secondary and tertiary manifestations follows but cardiovascular or neurological involvement is rare. Destructive lesions of bones are common. Treatment of choice : Benzathine penicillin.